Acute hemorrhagic conjunctivitis occurs due to -
1. Poliovirus
2. Hepadnavirus
3. Enterovirus 70
4. Coxackie B virus.

Correct answer: 3. Enterovirus 70

Explanation: Ans. is 'c' i.e., Enterovirus 70 o Enterovirus 70 causeso Coxsackie A-24 causeso Adenovirus causes---Acute hemorrhagic conjunctivitisAcute hemorhagic conjunctivitisEpidemic keratoconjunctivitisAcute Follicular conjunctivitisPharyngoconjunctival fever